Quality control agent for Sterilization in Autoclave
1. Bacillus subtilis
2. Bacillus pumilus
3. Bacillus stearothermophilus
4. Bacillus globigi

Correct answer: 3. Bacillus stearothermophilus

Explanation: Autoclaving Geobacillus stearothermophilus(GBS) Hydroclaving Bacillus subtilis Microwaving Bacillus atrophaeus Dry heat GBS or Bacillus atrophaeus